A patient, on treatment for leukemia, develops chest pain, pulmonary infiltrates and pleural effusion.The cause is -
1. Daunorubicin
2. Hydroxyurea
3. Cytarabine
4. Tretinoin

Correct answer: 4. Tretinoin